Extrapyramidal symptoms are a complication of treatment with following drugs:
1. Antipsychotics
2. Anti anxiety drugs
3. Anti depressants
4. Anti malarial drugs

Correct answer: 1. Antipsychotics

Explanation: Performance and intelligence are relatively unaffected, but vigilance is impaired. Extrapyramidal motor disturbances (see adverse effects) are intimately linked to the antipsychotic effect, but are more prominent in the high potency compounds and least in thioridazine, clozapine and other atypical antipsychotics. A predominance of lower frequency waves occurs in EEG and arousal response is dampened. However, no consistent effect on sleep architecture has been noted. REF : KD Tripati 8th ed.